As per WHO recommendation, duration of treatment of multibacillary leprosy is:
1. 3 months
2. 6 months
3. 9 months
4. 12 months

Correct answer: 4. 12 months

Explanation: Ans. D: 12 months Paucibacillary leprosy should be treated for 6 months with dapsone 100 mg/day unsupervised plus rifampin 600 mg/ month supervised. Multibacillary leprosy should be treated for 12 months with dapsone 100 mg/day unsupervised, clofazimine 50 mg/day unsupervised, and rifampin 600 mg plus clofazimine 300 mg/month supervised.